While exposing the kidney from behind,-all of the following nerves are liable to injury except:
1. Lateral cutaneous nerve of thigh
2. Ilioinguinal nerve
3. Subcostal nerve
4. Iliohypogastric nerve

Correct answer: 1. Lateral cutaneous nerve of thigh

Explanation: A. i.e. lateral cutaneous nerve of thigh- 2nd part of duodenum (not 4",) is anteriorly related to right kidney- Three nerves - Subcostal, iliohypogastric & ilioinguinal come in posterior relation to kidney and thus are lible to injury while exposing the kidney from behind.